Mc Murray's osteotomy is done for-
1. Malunited intertrochantric fracture of femur
2. Nonunion transcervical neck fracture of femur
3. Nonunion lateral condyle fracture of humerus
4. Malunited supracondylar fracture of humerus

Correct answer: 2. Nonunion transcervical neck fracture of femur

Explanation: *Mc Murray's osteotomy and Meyer's procedure (muscle pedicle graft) are used for non-union transcervical neck fracture of femur. INDICATIONS: 1. Nonunion of femoral neck 2. Advanced osteoarthritis . PREOPERATIVE PLANNING : Determination of the size of the bone wedge to be removed, the position of the seating chisel which will determine the size and angle of the blade plate to be used. AIM : o Line of weight bearing is shifted medially Shearing force at the nonunion is decreased, because the fracture surface has become more horizontal Ref: Maheshwari 9th ed pg. 136